Phase 1 conjugation include ail except:
1. Oxidation
2. Reduction
3. Conjugation
4. Hydrolysis

Correct answer: 3. Conjugation

Explanation: Ans: c (Conjugation)Ref: Vasudevan & Sreekumari, 6th edi., Pg. 447Bio transformation reactions are classified as phase one and phase two reactionsPhase one - is the alteration of the foreign molecule, so as to add functional group, which can be conjugated in phase two.Phase one reactions result in the formation of compounds with reduced toxicity (detoxification)Phase one reactions include -- hydroxylation, oxidation, reduction, hydrolysis, dealkylation and epoxidation (RHODE)Example -- Aspirin on hydrolysis gives salicylic acid and acetic acid Nitrobenzene on reductjpn gives aniline Toluene on oxidation gives benzyl alcoholThe products of metabolic transformations are either excreted directly or further metabolism by phase two reactions. They involve conjugation with a conjugating agent, thus converting lipophilic compounds into water soluble, easily excretable forms.Phase two reactions include -- sulfation, acetylation, methylation and conjugation with glucuronic acid, glutathione or glycine (SCAM)Example -- Bilirubin conjugated and excreted as its glucuronide Benzoic acid is conjugated with glycine to form hippuric acid